Multipurpose worker covers a population -
1. 1000
2. 3000
3. 5000
4. 10000

Correct answer: 3. 5000

Explanation: Ans. is 'c' i.e., 5000 * One male health worker (multipurpose worker) covers a population of -# 5000 in plains# 3000 in hilly / tribal / backward areas